Which intraocular muscle inserts closest to limbus
1. Lateral Rectus
2. Medial Rectus
3. Superior Rectus
4. Inferior Rectus

Correct answer: 2. Medial Rectus

Explanation: Answer- B. Medial RectusMedial rectus -Distance of insertion from limbus- 5.5 mm